Stalactite growth in a ghee broth culture is characteristic of
1. Bacillus
2. Legionella
3. Yersinia
4. Leptospira

Correct answer: 3. Yersinia

Explanation: Yersinia pestis:The plague bacillus is a short, plump, ovoid gram-negative bacillus.It is aerobic and facultatively anaerobicIt is not nutritionally exacting and grows on ordinary mediaIf grown in a flask of broth with oil or ghee floating on top, a characteristic growth occurs which hangs down into the broth from the surface, resembling stalactites .Ref: Ananthanarayan; 7th edition; Page no: 324